Sterility is caused by -
1. Vinca alkaloids
2. Alkylating agents
3. Antimetabolites
4. Actinomycin D

Correct answer: 2. Alkylating agents

Explanation: Ans. is 'b' i.e., Alkylatings agents Alkylating agents may contribute to sterility by the following effects : Azoospermia in males Amenorrhea and ovarian atrophy in females Specific toxicity of important alkylating agents. o Cyclophosphamide ---> Cystitis, alopecia, SIADH o Ifosfamide ---> Cystitis, SIADH, neurotoxicity o Cisplatin ---> Nephrotoxicity, peripheral neuropathy, ototoxicity, vomiting. o Busulfan ---> Adrenal insufficiency, hyperpigmentation,pu/monaryfibrosis. o Procarbazine ---> Disulfiram like reaction, secondary leukemias, CNS effects.